In Caldwell-Luc operation, opening to the sinus is made?
1. At the premolar region
2. At the incisor region
3. At the 1st molar region
4. At the 2nd molar region

Correct answer: 1. At the premolar region